Regarding cutaneous amoebiasis, which is not true?
1. It is a spreading necrotizing inflammation of the skin and cutaneous tissue
2. Rapid improvement with anti-amoebic treatment occurs
3. Can occur in the perianal region
4. The infection reaches the skin through the blood stream

Correct answer: 4. The infection reaches the skin through the blood stream

Explanation: Ans. is 'd' i.e., The infection reaches the skin through the blood streamCutaneous amoebiasis-It is usually seen over the region adjoining a visceral lesion, e.g., area of drainage of liver abscess or colostomy wound or from the rectum perianally.